The most common site and type of metaplasia are :
1. Respiratory tract epithelium, Columnar metaplasia
2. Respiratory tract epithelium, Squeamous metaplasia
3. Esophagus, Squeamous metaplasia
4. Esophagus, Columnar metaplasia

Correct answer: 2. Respiratory tract epithelium, Squeamous metaplasia

Explanation: As respiratory tract is exposed to chronic irritation due to dust, Smoke etc, it undergoes squeamous metaplasia ,